Point angles in class II
1. 4
2. 6
3. 5
4. 3

Correct answer: 2. 6